Presence of Epstein Barr virus in hairy Leukoplakia can be demonstrated using following methods EXCEPT -
1. Tzanck smear
2. Polymerase chain reaction
3. In situ hybridization
4. Electron microscopy

Correct answer: 1. Tzanck smear